All of the following are transfusion-transmitted viruses except
1. Hepatitis B
2. CMV
3. HTLV - 1
4. Rubella

Correct answer: 4. Rubella

Explanation: Rubella infection is acquired by inhalation or transplacental route. Ref: Baveja textbook of microbiology; 4th edition